Lehriche syndrome is characterized by presence of arterial insufficiency in
1. Aorto- iliac artery
2. Superficial femoral artery
3. Temporal artery
4. Brachial artery

Correct answer: 1. Aorto- iliac artery

Explanation: Answer- A. Aorto- iliac arteryBrought on by walkingNot present on taking the first step (unlike osteoarthritis)Relieved by standing stillThe pain of claudication is usually felt in the calf because the superficial femoral artery is the most commonly affected.Aortoiliac disease (30 per cent of cases) may cause thigh or buttock claudication.Buttock claudication in association with sexual impotence resulting from arterial insufficiency is eponymously called Leriche's syndrome. It is very rare.